All of the following are common causes of childhood blindness, EXCEPT:
1. Congenital rubella
2. Toxoplasmosis
3. Ophthalmia neonatorum
4. Congenital dacryocystitis

Correct answer: 4. Congenital dacryocystitis

Explanation: The common causes of childhood blindness that affects the retina are hereditary dystrophies, retinopathy of immaturity and toxoplasmosis. Corneal blindness could be due to vitamin A deficiency, measles and Ophthalmia neonatorum. Congenital rubella affects the lens of the eye. Other congenital conditions and cortical blindness can also attribute to blindness in children. Ref: Pediatric Retina: Medical and Surgical Approaches, Mary Elizabeth Hartnett, M.D., Page: 318